Color of kit 3 for STD under AIDS control programme?
1. Red
2. Blue
3. White
4. Green

Correct answer: 3. White

Explanation: Ans. is 'c' i.e.,WhitePre-packed colour coded STI/I kits have been provided for free supply to all designated STI/I clinics :Kit 1 4 Grey, for urethral discharge, ano-rectal discharge, cervicitis.Kit 2 - Green, for vaginitisKit 3 4 White, for genital ulcersKit 4 - Blue, for genital ulcersKit 5 - Red, for genital ulcersKit 6 4 Yellow, for lower abdominal painKit 7 - Black, for scoal swelling.